Intermediate plexus, True is
1. Found in mid region of periodontal space
2. Associated with Rapid remodelling of fibers
3. Both
4. None

Correct answer: 3. Both